Resistance to acyclovir is most commonly due to mutation in the viral gene that encodes a protein that
1. Converts viral RNA into DNA
2. Phosphorylates acyclovir
3. Transports acyclovir into the cell
4. Transports acyclovir out of the cell

Correct answer: 2. Phosphorylates acyclovir

Explanation: Ref-KDT 6/e p768 Nucleoside/tide analogues act by converting to NTPs. First phosphorylation step occurs inside the virus and resistance occurs if there is mutation in this gene